Not transmitted by mite -
1. Scabies
2. Scrub typhus
3. Rickettsialpox
4. Kyasanur forest disease

Correct answer: 4. Kyasanur forest disease

Explanation: Ans. is 'd' i.e., Kyanasur Forest disease o Mites are the vectors for the following diseasesDiseasesVectorScabiesItch miteScrub TyphusTrombiculid miteRickettsial poxTrombiculidmite